Inferior ophthalmic vein passes through:
1. Superior orbital fissure.
2. Inferior orbital fissure
3. Both
4. None.

Correct answer: 3. Both